In a chronic smoker, a highly malignant aggressive and metastatic lung carcinoma is -
1. Squamous cell Carcinoma
2. Small cell Carcinoma
3. Adenocarcinoma
4. Large cell carcinoma

Correct answer: 2. Small cell Carcinoma